A 22-year-old man is admitted to the emergency department after falling from his bicycle. Radiographic examination reveals a fracture of the tibia above the ankle. MRI and physical examination reveal that the tibial nerve is severed on the posterior aspect of the tibia. Which of the following signs will most likely be present during physical examination?
1. Sensory loss of the dorsum of the foot
2. Sensory loss on the sole of the foot
3. Foot drop
4. Paralysis of the extensor digitorum brevis

Correct answer: 2. Sensory loss on the sole of the foot

Explanation: The tibial nerve divides into the medial and lateral plantar nerves on the medial side of the ankle. These two nerves provide sensation for the sole of the foot. Sensory supply to the dorsum of the foot is provided mostly by the superficial fibular (peroneal) nerve, with the deep fibular (peroneal) nerve providing sensation for the skin between the first and second toes. Foot drop would be caused by interruption of the common fibular (peroneal) nerve. Sensory loss to the lateral side of the foot results from loss of the sural nerve. Paralysis of the extensor digitorum brevis would be attributed to injury to the terminal motor branch of the deep fibular (peroneal) nerve.